Which of the following is not considered a part of Circle of Willis?
1. Anterior cerebral artery
2. Middle cerebral artery
3. Posterior communicating artery
4. Posterior cerebral artery

Correct answer: 2. Middle cerebral artery

Explanation: Circle of Willi's is formed by:-

In front: anterior communicating artery.
Anterolaterally: two anterior cerebral artery.
Laterally: proximal segments of both internal carotid arteries.
Postero-laterally: two posterior communicating arteries.
Behind: proximal segments of both posterior cerebral arteries, arising at bifurcating terminal of the basilar artery.